Gamma waves of REM sleep in sleep cycle are associated with ?
1. Intense attention
2. Subconscious thinking
3. Deep subconscious thinking
4. Deep sleep

Correct answer: 1. Intense attention

Explanation: Ans. A. Intense attentionBeta and gamma waves (20-80Hz) occur spontaneously during REM sleep and waking and are evoked by intense attention, conditioned responses, tasks requiring fine movements and sensory stimulus